A 40 year old man underwent kidney transplantation. Two month after transplantation,
he developed fever and feature suggestive of bilateral diffuse interstitial pneumonia. Which of the following is most likely etiologic agent ?
1. Herpes simplex virus
2. Cytomegalovirus
3. Epstein-barr virus
4. Varicella - zoster virus

Correct answer: 2. Cytomegalovirus

Explanation: It is a case of diffuse interstitial pneumonitis due to CMV.

Remember :

CMV is the MC infection complicating organ transplantation.
CMV is MC cause of intrauterine infection.
Risk of post transplant CMV infection is greatest 5-13 weeks after transplant.

Infections after Kidney Transplantation